Whiplash injury is seen in
1. Sudden infant death syndrome
2. Munchausen syndrome
3. Battered baby syndrome
4. Shaken baby syndrome

Correct answer: 4. Shaken baby syndrome

Explanation: Shaken baby syndrome (infantile whiplash syndrome) By holding both shoulders, babies and children are shaken causing various injuries. This is done by parents or care takers in anger or frustration. It may cause diffuse axonal injury, subdural hemorrhage, moderate to severe retinal hemorrhage with or without separation. Ref: FORENSIC MEDICINE AND TOXICOLOGY Dr PC IGNATIUS THIRD EDITION PAGE 356